Bed of tonsil is formed by -
1. Superior constrictor
2. Middle constrictor
3. Inferior constrictor
4. Platysma

Correct answer: 1. Superior constrictor

Explanation: Ans. is 'a' i.e., Superior constrictor o Tonsillar bed is formed by the following:1. Pharyngobasilar fascia3. Buccopharyngeal fascia5. Glossopharyngeal nerve2. Superior constrictor muscle4. Styloglossus muscle